EKG finding of ventricular premature beats-
1. Fusion beat
2. Narrow QRS complex
3. AV Dissociation
4. Wide QRS complex

Correct answer: 4. Wide QRS complex

Explanation: PVCs are characterized by premature and bizarrely shaped QRS complexes that are unusually long (typically >120 msec) and appear wide on the electrocardiogram (ECG). These complexes are not preceded by a P wave, and the T wave is usually large and oriented in a direction opposite the major deflection of the QRS. pvc is followed by a compensatory pause Ref Harrison 20th edition pg 1435